In ADHD the comorbid condition is
1. Learning disability
2. Schizhophrenia
3. OCD
4. Seizure

Correct answer: 1. Learning disability

Explanation: Ans: a (Learning disability)ADHD :Cardinal features- Extreme and persistant restlessness,- Sustained and prolonged motor activity,- Difficulty in maintaining attention,- Impulsiveness and difficulty in withholding responses.Symptoms should atleast last for 6 monthsICD 10 requires that symptom should start before 6 yrs of ageComorbidityConduct disorder,Depressive disorder,Anxiety disorder,Learning disabilityLanguage impairmentTreatment1. Support and psychological Rx2. Medicationsstimulant drugs- if severe restlessness and attention deficitMethyl phenidates/e - irritablity .depression, poor appetite, insomnia, slowing of growthAmoxetines/e- nausea,abd pain,loss of apetite, sleep disturbance, severe liver damage